Drugs increasing renin levels except:
1. Clonidine
2. Hydralazine
3. Nifedipine
4. Captopril

Correct answer: 1. Clonidine

Explanation: Ans. A. ClonidineRenin levels are increased when there is reflex sympathetic outflow. Vasodilators and ACE inhibitors results in reflex increase in renin activity. Clonidine on the other hand decrease the sympathetic outflow.